Which of the following is not included in an adoption triad
1. Adoptive parent
2. Adopted child
3. Hospital from which the child is adopted
4. Birth parent

Correct answer: 3. Hospital from which the child is adopted

Explanation: Adoption triad includes : Birth parents Adoptive parents Adopted child Adoption triad does not include the hospital from which the child is adopted.